In defining General Fertility Rate, the denominator is
1. Population between 15 to 49 years of age
2. Women between 15 to 49 years of age
3. Mid year population
4. Live births

Correct answer: 2. Women between 15 to 49 years of age

Explanation: General fertility rate is the number of live births per 1000 women in the reproductive are group ( 15-44 or 49 years) in a given year GFR = Number of live birth in an area during the year X 1000 / mid year female population age group 15-44 (or 49) in the same area in same year Reference : Park's textbook of preventive and social medicine, 23rd edition, Page no: 488